The most common finding in children with severe viral enteritis:
1. Isotonic dehydration with Acidosis
2. Isotonic dehydration with Alkalosis
3. Hypotonic dehydration with Acidosis
4. Hypotonic dehydration with Alkalosis

Correct answer: 1. Isotonic dehydration with Acidosis

Explanation: Isotonic dehydration with acidosis is the most common finding in children with severe viral enteritis. In Diarrhoea- loss of bicarbonate in stools- causes normal anion gap metabolic acidosis.